NFHS-3 was carried out in
1. 1995
2. 2000
3. 2005
4. 2010

Correct answer: 3. 2005